MBBS 1st year girl came to OPD complaining of intermittent episodes of feeling of impending doom accompanied by intense perspiration Usually the episodes occur prior to her exams what is the most likely diagnosis
1. Panic attack
2. Generalised anxiety disorder
3. Phobia
4. Schizophrenia

Correct answer: 1. Panic attack

Explanation: Panic attacks typically include some of these signs or symptoms: Sense of impending doom or danger. Fear of loss of control or death. Rapid, pounding heart rate. Sweating. Trembling or shaking. Shortness of breath or tightness in your throat. Chills. Hot flashes. ref : robert hales 6th ed